The organism that does not infect hair is
1. Trichophyton rubrum
2. Epidermophyton floccosum
3. Microsporum
4. All

Correct answer: 2. Epidermophyton floccosum

Explanation: Trichophyton- hair, skin and nail. Microsporum- hair and skin. Epidermophyton- skin and nail. Reference: Textbook of Microbiology; Baveja; 4th edition .